A 45 year old female patient reports to the clinic with a history of pain with tooth 37. The tooth appears normal on clinical and radiographic examination except for the fact that pain occurs on biting on a hard object and then releasing the bite.

The various other means of diagnosing such a lesion include:
1. Methylene blue staining
2. Tooth slooth
3. Transillumination
4. All of the above

Correct answer: 4. All of the above